TB multidrug regimen is given to
1. Prevent side effects
2. Broad spectrum
3. Prevent resistance
4. None

Correct answer: 3. Prevent resistance